Volume of air taken in and given out during normal respiration is referred to as
1. IRV
2. TV
3. ERV
4. VC

Correct answer: 2. TV

Explanation: Ans. (b) TV(Ref: Ganong, 25th ed/p.628)Tidal volume is the volume of air inspired or expired with each breath during normal quiet breathing. It is 500- 750 ml